All veins opens into coronary sinus EXCEPT:
1. Great cardiac vein
2. Anterior cardiac vein
3. Middle cardiac vein
4. Left posterior ventricular vein

Correct answer: 2. Anterior cardiac vein

Explanation: Anterior cardiac vein "Anterior cardiac veins empty directly into the right atrium" VENOUS DRAINAGE OF HEART: The heart is drained mainly by veins that empty into the coronary sinus and partly by small veins that empty directly into the chambers of the heart. The coronary sinus the main vein of the heart, is a wide venous channel that runs from left to right in the posterior part of the coronary groove.